Commonest complication of mature treatoma is:
1. Torsion
2. Rupture
3. Haemorrhage
4. Malignancy

Correct answer: 1. Torsion

Explanation: Torsion